Neoplastic giant cells characteristically seen in Hodgkins lymphoma are:
1. Warthin Finkeledy cells
2. Russel bodies
3. Reed Sternberg cells
4. Mikulicz cells

Correct answer: 3. Reed Sternberg cells

Explanation: Ans. C i.e. Reed Sternberg cells